Which of the following conditions is most likely to lead to a dry tap during bone marrow aspiration-
1. Acute lymphoblastic leukemia
2. Multiple myeloma
3. Megaloblastic anaemia
4. Idiopathic myelofibrosis

Correct answer: 4. Idiopathic myelofibrosis

Explanation: bone marrow aspiration is generally unsuccessful and yields "dry tap" in idiopathic myelofibrosis. Reference textbook of Pathology 7th edition author Harsha Mohan page number 340 see laboratory findings